Neologism is characteristically seen in:
1. Depression
2. Mania
3. Schizophrenia
4. Delirium

Correct answer: 3. Schizophrenia

Explanation: Ans. Schizophrenia